True about mummification is -
1. External features are preserved
2. High atmospheric temperature is needed
3. Occurs in dry air
4. All of the above

Correct answer: 4. All of the above

Explanation: Facial features and injuries are preserved in mummification.
It occurs in hot, dry and windy climate.